Which of the following is false about rectal prolapse in children?
1. Prolapse is due to diarrhea and worm infestation
2. Treatment is conservative
3. Surgery of choice is mesh rectopexy
4. Prolapse is mainly mucosal

Correct answer: 3. Surgery of choice is mesh rectopexy

Explanation: In children prolapse is mainly mucosal and underlying disase must be treated.